A 25 year old woman complains of intense depressed mood for 6 months with the inability to enjoy previously pleasurable activities. This symptom is known as :
1. Anhedonia
2. Avolition
3. Apathy
4. Amotivation

Correct answer: 1. Anhedonia

Explanation: Anhedonia : Loss of responsiveness especially tied to the experience of pleasure.